Meniere's disease is characterised by all EXCEPT
1. Conductive deafness
2. Sensorineural deafness
3. Vertigo
4. Tinnitus

Correct answer: 1. Conductive deafness

Explanation: (Conductive deafness) (100-101 -Dhingra 4th) (106-M)Aetiologic factors and sympatology of Meniere's disease {Endolymphatic hydrops)